In spinal anesthesia which fiber is lost first
1. Sympathetic
2. Sensory
3. Motor
4. All

Correct answer: 1. Sympathetic

Explanation: A i.e. Sympathetic